Mechanism of action of Dabigtran -
1. Activation of plasmin
2. Direct inhibition of thrombin
3. Indirect inhibition of thrombim
4. Inactivation of vitamin K dependent facters

Correct answer: 2. Direct inhibition of thrombin

Explanation: Ans. is 4b' i.e., Direct inhibition of thrombin AnticoagulantsOrali) Vitamin K inhibitors (Traditional oral anticoagulants):- Warfarin, dicumarol, acenocoumarol, ethylbiscoumacetate, phenindione.ii) Facto Xa inhibitors:- Rivaroxaban, Apixaban.iii) Direct thrombin inhibitors:- Ximelaeatran. dabiyatran.Parentrali) Indirect thrombin inhibitors:- Unfractionated heparin, low molecular weight heparin (e.g. Enoxaparin, reviparin etc), Fondaparinux, Idraparinux.ii) Direct thrombin inhibitors:- Hirudin, Lepirudin, bivalirudin, argatroban, melagatron, ximelagatron.